One of the intestinal enzymes that is generally deficient in children following an attack of severe infectious enteritis is
1. Lactase
2. Trypsin
3. Lipase
4. Amylase

Correct answer: 1. Lactase

Explanation: .Congenital defeciency of disaccharides are very rare.primary late onset of lactase defeciency is not uncommon in India and many asian countries.Its causes are acute bacterial and viral gastroenteritis protein energy malnutrition prolonged use of drugs like neomycin, celiac disease cow's milk protein intolerance cystic fibrosis causing secondary transient defeciency of disaccharides ESSENTIAL PEDIATRICS,O.P.GHAI.PG NO:274,7th edition